All have high first pass metabolism except ?
1. Lidocaine
2. Propranolol
3. Theophylline
4. Morphine

Correct answer: 3. Theophylline

Explanation: Ans. is 'c' i.e., Theophylline